The defluoridations process of drinking water developed by the NEERI is popularly known as?
1. Activated sludge process
2. Recarbonation process
3. Nalgonda process
4. Double pot method

Correct answer: 3. Nalgonda process

Explanation: Ans. is 'c' i.e., Nalgonda process